True statements about Neostigmine are:  a) It is a quarternary ammounium compound b) It is metabolised by liver c) It can cross the blood brain barrier d) Prominent effect on cardiac muscle e) It possess agonistic action on NM receptors
1. ad
2. bc
3. ae
4. cd

Correct answer: 3. ae

Explanation: Neostigmine is a reversible cholinesterase inhibitor. It is a quarternary ammonium compound (lipid insoluble agent), so it does not cross blood-brain-barrier.
It is partly hydrolyzed by serum cholinesterase and partly excreted unchanged by the kidneys.
It possesses some agonistic action on NM receptors.